Joint not involved in Rheumatoid arthritis according to 1987 modified ARA criteria?
1. Knee
2. Ankle
3. Tarsometatarsal
4. Met at arsophalangeal

Correct answer: 3. Tarsometatarsal

Explanation: Tarsometatarsal The 1987 Revised Criteria for the Rheumatoid arthritis 4 out of 7 criteria are required to classify a patient as having rheumatoid arthritis Patients with 2 or more clinical diagnoses are not excluded. 1.Morning stiffness: morning stiffness in and around joints lasting at least 1 hour before maximal improvement 2.Arthritis of 3 or more joint areas: soft tissue swelling (arthritis) of 3 or more joint areas observed simultaneously by a physician. The 14 possible joint areas involved are, right or left: - proximal interphalangeal metacarpophalangeal wrist elbow knee - ankle metatarsophalangeal Arthritis of hand joints: swelling (arthritis) of the proximal interphalangeal, metacarpophalangeal, or wrist joints Symmetric arthritis: simultaneous involvement of the same joint areas on both sides of the body Rheumatoid nodules: subcutaneous nodules over bony prominences, extensor surfaces, or juxtaarticular regions Serum rheumatoid factor: demonstration of abnormal amounts of serum rheumatoid factor Radiographic changes: radiographic erosions and/or periarticular osteopenia in hand and/or wrist joints Criteria 1 to 4 must be present, for at least 6 weeks. Criteria 2 to 5 must be observed by a physician.